Common carotid artery bifurcation is at
1. Thyroid cartilage
2. Cricord cartilage
3. C7
4. T2

Correct answer: 1. Thyroid cartilage

Explanation: At the level of the upper border of the thyroid cartilage, the artery ends by dividing into the external and internal carotid arteries. The right common carotid artery is a branch of the brachiocephalic artery. The left common carotid artery is branch of the arch of the aorta. Ref: BDC volume 3;sixth edition: pg 99